All of the following drugs alter calcium hemostasis except-
1. Flouride
2. Indomethacin
3. Mithramycin
4. Thiazides

Correct answer: 2. Indomethacin

Explanation: drugs or Non hormonal substances altering calcium hemostasis are Calcium preparations Flouride Thiazides Bisphosphonates Vit D or Calcitriol Some antibiotics like mithramycin Ref - Harrisons internal medicine 20e p2945-2946 2911-12